In which of the following muscle, fibres are
not parallely arranged?
1. Sartorius
2. Sternohyoid
3. Rectus abdominis
4. Tibialis anterior

Correct answer: 4. Tibialis anterior

Explanation: In Tibialis anterior, muscle fibres are not parallely arranged.